Method to modify the child's behaviour by the presentation or withdrawal of certain reinforcers is known as:
1. Contingency management.
2. HOME.
3. Physical restraint.
4. Retraining.

Correct answer: 1. Contingency management.